Atypical pneumonia can be caused by the following microbial agents except ?
1. Mycoplasma pneumoniae
2. Legionella peumophila
3. Human corona virus
4. Klebsiella pneumoniae

Correct answer: 4. Klebsiella pneumoniae

Explanation: Ans. is 'd' i.e., Kleibsella pneumoniae Atypical pneumonia is interstial pneumonia, while Kleibsella causes airspace pneumona. Kleibsella pneumonia presents as a typical 'air space' pneumonia with cough productive of purulent sputum. Causes of Atypical pneumonias Mycoplasma pneumonias Viral pneumonias -4 Influenza, RSV, Adenovirus, Rhinovirus, Rubeola, Varicella, Corona virus Legionella Chlamydia pneumonia Coxiel la burnetti Pneumocystis carinii